Trotters triad is seen in carcinoma of -
1. Maxilla
2. Larynx
3. Nasopharynx
4. Ethmoid sinus

Correct answer: 3. Nasopharynx